Best test to detect iron deficiency in community is -
1. Transferrin
2. Serum ferritin
3. Serum iron
4. Hemoglobin

Correct answer: 2. Serum ferritin

Explanation: The single most sensitive tool for evaluating the iron status is by measurement of serum ferritin. REF. PARK'S TEXTBOOK OF PREVENTIVE AND SOCIAL MEDICAL 21ST EDITION. PAGE NO - 623